Factor present in the final common terminal complement pathway is -
1. C4
2. C3
3. C5
4. Protein B

Correct answer: 3. C5

Explanation: formation of C5 convertase and finally the membrane attack complex is common in all the three pathways. Ref Robbins 9/e p 331_333